"Papenhemier" bodies are composed of:
1. Copper
2. Iron
3. Lead
4. Zinc

Correct answer: 2. Iron

Explanation: Iron